1958. Most malignant form of NHL is -
1. Diffuse large cell
2. Small cell lymphocytic lymphoma
3. Follicular predominantly small cleaved cell
4. Large cell follicular

Correct answer: 1. Diffuse large cell

Explanation: Diffuse large B cell lymphoma comprises 31% of NHL.About half the cases have extranodal involvement at the time of presentation,particularly in the bone marrow & alimentary tract.It is a high grade NHL & is very aggressive & disseminate widely.It has rapid proliferation rates,rapidly produces symptoms & is fatal if untreated.

Reference :Harsh mohan textbook of pathology sixth edition pg no 377